Hanging causes injury to:
1. Carotid artery
2. Esophagus
3. Trachea
4. Vertebral artery

Correct answer: 1. Carotid artery

Explanation: Ans. Carotid artery